Nil per oral orders for an 8 year old child posted for elective nasal polyp surgery at 8 AM  is all except
1. Milk can be taken at 7 AM in morning
2. Apple juice can be taken  at 10 PM previous night
3. Rice can be consumed at 11 PM  previous night
4. Can take sips of water up to 6 AM in morning

Correct answer: 1. Milk can be taken at 7 AM in morning

Explanation: For children, nil per oral orders are upto 8 hrs for solid food, 6 hours for formula milk, 4 hours for breast milk and 2 hours for clear fluid.